Which of the following events DO NOT occur in rods in response to light
1. Structural changes in rhodopsin
2. Activation of transducin
3. Decreased intracellular cGMP
4. Opening of Na+ channels

Correct answer: 4. Opening of Na+ channels